Which is used for etching porcelain?
1. 9.6% HF
2. 1.23% HF
3. 37% HF
4. 4% HF

Correct answer: 1. 9.6% HF